All are characteristics of strangulation except -
1. Fracture of thyroid cartilage
2. Bleeding from nose
3. Saliva running out of mouth
4. Transverse ligature mark

Correct answer: 3. Saliva running out of mouth